PTH does not cause:
1. Maintains serum Ca2+
2. Ca2+ retention
3. Decreased PO43- excretion
4. May cause osteolysis

Correct answer: 3. Decreased PO43- excretion

Explanation: Ans. is 'c' decreased P043- excretionParathyroid hormone decreases the reabsorption of P043- in proximal convoluted tubule of kidney. This increases their excretion from the kidney.Effect of parathyroid hormoneon calcium*it increases serum calcium level byStimulates reabsorption of Ca by kidneyStimulates renal activation of vit. D which increases intestinal absorption of calciumOn Phosphorus*Decrease the level of P043- in Serum byDecreasing P043- reabsorption in kidney.